A cook is habitual of nose picking while cooking. His clients are at risk for food poisoning with:
1. Clostridia difficle
2. Staph aureus
3. Vibrio cholerae
4. Bacillus cereus

Correct answer: 2. Staph aureus

Explanation: Ans. is b. Staph aureus